Strong belief about something but which lacks complete conviction
1. Delusion
2. Phobia
3. Obsession
4. Over valued belief

Correct answer: 4. Over valued belief

Explanation: (D) Over valued belief # DELUSION is a false belief that is not supported by fact and cannot be challenged successfully by logic or reason.> False belief is not considered a delusion if it is shared by other members of the person's own cultural or social group.> False beliefs that can change in the face of strong evidence are called overvalued ideas. Simple phobia are Acrophobia (fear of high places), Zoophobia (fear of animals), Xenophobia (fear of strangers), Algo- phobia (fear of pain), and Claustrophobia (fear of closed places). An idea, impulse or image which intrudes into conscious awareness repeatedly. Obsession: It is recognised as one's own idea, impulse or image but is ego-ailen (foreign to one's personality) It is recognised as irrational and absurd (insight is present). Patient tries to resist against it, but is unable to doso. Failure to resist leads to marked distress. Usually follows obsession. It is aimed at either preventing or neutralizing the distress or fear arising out of obsession. Behaviour is not realistic and is either irrational or excessiveo.Insight is present, so the patient realises their rationality or compulsion. behaviour is performed with a sense of subjective compulsion (urge or impulse to act). False beliefs that can change in the face of strong evidence are called overvalued ideas.